What are Heart failure cells
1. Lipofuscin containing cardiac myocytes
2. Pigmented alveolar macrophages
3. Swollen cells in liver
4. Pale cells in pancreatic acini.

Correct answer: 2. Pigmented alveolar macrophages

Explanation: Hemasiderin containing macrophages in the alveoli are indicators of pulmonary edema is cases of left heart failure. Hence, they are called Heart failure cells.